Conduct money is fee given to a:
1. Witness in civil court
2. Witness in criminal court
3. Doctor for good behavior in court
4. Witness for good conduct

Correct answer: 1. Witness in civil court

Explanation: Ans. Witness in civil court